Sexual gratification of a women is obtained by another woman is called ?
1. Tribadism
2. Bestiality
3. Fellatio
4. Cunnilingus

Correct answer: 1. Tribadism

Explanation: Ans. is 'a' i.e.,Tribadism Tribadism (Lesbianism or female homosexuality) : Sexual gratification of a women is obtained by another woman by kissing, body contact, manipulation of breast and genitalia.Active partner is called dyke or butch and the passive agent is called femme. This is not an offence in India.